Kit 3 is given for :
1. Urethral discharge
2. Genital ulcer (herpetic)
3. Genital ulcer (non herpetic)
4. Genital ulcer (non herpetic), allergic to penicillin

Correct answer: 3. Genital ulcer (non herpetic)

Explanation: Kit 3(white) is given for Non-herpetic genital ulcer.